A boy presents with injury to medial epicondyle of the humerus. Which of the following would NOT be seen:-
1. Loss of the ulnar deviation
2. Complete paralysis of the IIIrd and IVth digits
3. Atrophy of the hypothenar eminence
4. Decreased sensation of the hypothenar eminence

Correct answer: 2. Complete paralysis of the IIIrd and IVth digits

Explanation: Injury to medial epicondyle damages ulnar nerve - Paralysis of flexor carpi ulnaris (loss of ulnar deviation) Medial half of flexor digitorum profundus (loss of DIP flexion) Hypothenar muscle paralysis (and atrophy) and Sensory loss on the hypothenar eminence. Flexor digitorum superficialis (supplied by median nerve for finger flexion) and extensor digitorum (supplied by radial nerve for finger extension) are still functional.